Antibody in asthma treatment
1. Rituximab
2. Transtusuzumab
3. Omalizumab
4. Daclizumab

Correct answer: 3. Omalizumab

Explanation: Omalizumab o Omalizumab is an anti IgE agent approved by the (FDA)
for use in patients age 12 and above with moderate to severe persistent allergic asthma with
: - An IgE level of30-700 lu/ml. Positive allergen skin or specific IgE tests to a perenmial allergen and Incomplete symptom control
with inhaled glucocorticoid treatment. o Omalizumab is administered by “subcutaneous injecon ” every mo to four weeks in a dose that
is determined by- body weights and the level of serum IgE.
o Omalizumab produces 25% reduction in rate of asthma exacerbations.
 The response to omalizumab therapy is variable and dif icult to predict with overall response rates in patients with moderate to severe asthma averaging 30-50%.
 A minimum of 12 weeks of treatment is necessary to determine the efficacy 1 ofanti-IgE theraphy